Most common tumor of ovary found in pregnancy is?
1. Sex cord tumour
2. Epithelial tumor
3. Dysgerminoma
4. Dermoid

Correct answer: 4. Dermoid

Explanation: Dermoid REF: Dutta 6th ed p. 310 The most common tumour of ovary in pregnancy is dermoid